The tin mercury phase formed during amalgamation is called:
1. Gamma phase
2. Gamma-1phase
3. Gamma-2phase
4. Lathe cut

Correct answer: 3. Gamma-2phase